Carbapenem with maximum seizure risk is
1. Doripenem
2. Imipenem
3. Ertapenem
4. Meropenem

Correct answer: 2. Imipenem

Explanation: * Imipenem is a Carbapenem group of Beta-Lactam antibiotic with highest propensity to induce seizures compared to the other Carbapenem congeners. * Seizure is noted in 1.5% patients receiving Imipenen. Seizure risk is increased in patients receiving high doses in the presence of renal insufficiency and CNS lesions. Ref:- Goodman & Gilman Pharmacological Basis of Therapeutics 13th Ed; Pg num:- 1035